A 16 year old male is found to have a mental age of 9 years on I.Q. testing. He has -
1. Mild intellectual disability
2. Moderate intellectual disability
3. Severe intellectual disability
4. Profound intellectual disability

Correct answer: 1. Mild intellectual disability